Aldosterone secretion is controlled by all of the following except:
1. ACTH.
2. Increase in ECF volume.
3. Increase in potassium ion concentration in ECF.
4. Decrease in the sodium ion concentration in ECF.

Correct answer: 2. Increase in ECF volume.

Explanation: Aldosterone secretion is controlled by

ACTH
Increase in potassium ion concentration in ECF
Decrease in sodium ion concentration in ECF
Decrease in ECF volume